Which of the following toxin causes lathyrism?
1. Berberine
2. Pyrazolidone
3. Sanguinarine
4. BOAA

Correct answer: 4. BOAA

Explanation: Ans. d (BOAA). (Ref. Park, Textbook of PSM, 17th ed., 441)LATHYRISM# Neurolathyrism is crippling disease of nervous system characterised by gradually developing spastic paralysis of lower limbs, occuring in adults consuming the pulse, Lathyrus sativus ("khesari dhal").# The toxin present in lathyrus is beta oxaly amino alanine (BOAA).# The disease affects mainly young men in the age group of 15--45 years# Stages: - Latent stage, No-stick stage, One-stick stage, Two-stick stage and Crawler stage.# Interventions - Vitamin C prophylaxis- Banning the crop- Removal of toxin (b\ Steeping method and Parboiling).- Education- Genetic approach- Socio-economic changes.